To initiate transcription RNA polymerase does not require which one of the following:
1. Template (ds DNA)
2. Activated precursors (ATP, GTP, UTP, CTP)
3. Divalent metal ions (Mn2+, Mg2+)
4. Primer

Correct answer: 4. Primer

Explanation: DNA polymerase can only elongate existing polynucleotide chains, and thus requires a primer. RNA polymerase can initiate RNA synthesis de novo and hence does not require a primer. Ref: Molecular Biology of the Gene Watson, 2004, Page 376 ; Lippincott's Illustrated Q & A Review of Biochemistry by Michael A. Lieberman, Rick Ricer, 2009, Page 294